The abnormal preoperative pulmonary function test in a patient with severe kyphoscoliosis includes
1. Normal RV and decreasd TLC
2. Reduced FEV1/ FVC
3. Reduced FEV 25-75
4. Increased FRC

Correct answer: 1. Normal RV and decreasd TLC

Explanation: In severe kyphoscoliosis RV is normal TLC decreased FRC decreased/normal FVC decreases